Typical field defect observed in anterior ischaemic optic neuropathy is:
1. Altitudinal hemianopia
2. Paracentral scotoma
3. Homonymous hemianopia
4. Baring of the blind spot

Correct answer: 1. Altitudinal hemianopia

Explanation: Ans. Altitudinal hemianopia